A 9yr old boy is sent for neurological evaluation because of episodes of apparent inattention. Over the past year, child has experienced episodes during which he develops a blank look on face and his eyes blink for 15 seconds. He immediately resumes his previous activity. Wof therapies would be most appropriate for this patient
1. Watchful waiting
2. Carbamazepine plus primidone
3. Ethosuximide
4. Diazepam

Correct answer: 3. Ethosuximide

Explanation: Ref:- kd tripathi;pg num:-411,416,417